Bile solubility is used for-
1. Differentiation of staphylococcus from streptococcus
2. Differentiation of group B streptococci from other streptococci
3. Differentiation of pneumococci from streptococci
4. Differentiation of streptococci from neisseria

Correct answer: 3. Differentiation of pneumococci from streptococci